A 55-year-old male, with uncontrolled diabetes mellitus and hypertension, developed severe air-borne contact dermatitis. The most appropriate drug for his treatment would be:
1. Systemic corticosteroids
2. Thalidomide
3. Azathioprine
4. Cyclosporine

Correct answer: 3. Azathioprine

Explanation: C i.e. Azathioprine In contact dermatitis, the allergic reaction is mediated by delayed hypersensitivity (cell mediated immunity). It is treated by: - Antihistamincis - Steroids (topical/systemic) - Agents depressing cell mediated immunity as cyclosporine, tacrolimus, azathioprine